Most important from of carbon-dioxide transport in the blood
1. It is mostly transported as carboxy hemoglobin
2. As dissolved CO2
3. As bicarbonates
4. Due to CO2 molecules attached to hemoglobin

Correct answer: 3. As bicarbonates

Explanation: The route by which most of the carbon dioxide is carried in the bloodstream. Once dissolved in the blood plasma, carbon dioxide combines with water to form carbonic acid, which immediately ionizes into hydrogen and bicarbonate ions. The bicarbonate ions serve as part of the alkaline reserve.